Which of the following features is not associated with acute osteomyelitis of mandible
1. Severe pain
2. Purulent exudate
3. Paresthesia of lower lip
4. Radiographic evidence of bone destruction

Correct answer: 4. Radiographic evidence of bone destruction